The following antagonises the visceral side effects of neostigmine used in reversal of d-TC blockade?
1. Atropine
2. Nicotine
3. Pilocarpine
4. Pyridostigmine

Correct answer: 1. Atropine

Explanation: Ans. is 'a' i.e., Atropine o When Neostigmine is given to reverse the action of competitive blockers, prior atropinization should be done to prevent muscarinic actions like hypotension and bronchospasm.